Sections 312 to 315 deal with -
1. Kidnapping & abduction
2. Attention & abetment to suicide
3. Causing grevious hurt
4. Voluntary miscarriage

Correct answer: 4. Voluntary miscarriage

Explanation: Sec 312 to 316 IPC deals with punishment for causing criminal abortion which may extend from three years to life imprisonment. REF: Dr. K. S. Narayan Reddys Synopsis of Forensic Medicine & Toxicology edition 29th page no: 206.